Which of the following collagen is involved/expressed in early wound healing
1. Type 1
2. Type 2
3. Type 3
4. Type 4

Correct answer: 3. Type 3

Explanation: Answer- C. Type 3In wound healing earliest collagen to be deposited is type - 3 collagen along with fibronectin. Their deposition starts within l0 hours to 3 days and deposition peaks between 1 to 3 weeks.Later type - 3 collagen is replaced by type I collagen, which is more stronger.